Which is not a neuronal tumour
1. Ependymoma
2. Neuroblastoma
3. Gangliocytoma
4. Ganglioglioma

Correct answer: 1. Ependymoma

Explanation: The four major classes of brain tumors are: 1. Gliomas Astrocytoma * Pleomorphic xanthoastrocytoma * Brainstem glioma * Pilocytic astrocytoma * Fibrillary (diffuse) astrocytomas * Glioblastoma * Oligodendroglioma * Ependymoma 2. Neuronal tumors * Ganglion cell tumors * Gangliocytoma * Ganglioglioma * Dysembryoplastic neuroepithelial tumor * Cerebral neuroblastomas 3. Poorly differentiated neoplasm 4. Meningiomas